FIGO staging with cervical carcinoma involving parametrium -
1. IIa
2. IIb
3. IIIa
4. IIIb

Correct answer: 2. IIb

Explanation: Ans. is 'b' i.e., IIb TNM and F1GO Classifications for Cervical CancerPrimary tumor (T)TNMF1GOSurgical-Pathologic FindingsCategoriesStages TX Primary' tumor cannot be assessedT0 No evidence of primary tumorTis Carcinoma in situ (preinvasive carcinoma)T1ICervical carcinoma confined to the cervix (disregard extension to the corpus)TlaLAInvasive carcinoma diagnosed only by microscopy; stromal invasion with a maximum depth of 5.0 mm measured from the base of the epithelium and a horizontal spread of 7.0 mm or less; vascular space involvement, venous or lymphatic, does not affect classification.T1a1IA1Measured stromal invasion <3.0 mm in depth and <7.0 mm in horizontal spreadT1a2IA2Measured stromal invasion >3.0 mm and <5.0 mm with a horizontal spread < 7.0 mmTlbIBClinically visible lesion confined to the cervix or microscopic lesion greater than TlaTA2TlblIBlClinically visible lesion < 4.0 cm in greatest dimensionTlb2IB2Clinically visible lesion > 4.0 cm in greatest dimensionT2IICervical carcinoma invades beyond uterus but not to pelvic wall or to lower third of vaginaT2aIIATumor without parametrial invasionT2alDAIClinically visible lesion < 4.0 cm in greatest dimensionT2a2IIA2Clinically visible lesion > 4.0 cm in greatest dimensionT2bIIBTumor with parametrial invasionT3IIITumor extends to pelvic wall and'or involves lower third of vagina and/or causes hydronephrosis or nonfunctional kidneyT3aIIIATumor involves lower third of vagina, no extension to pelvic wallT3bII1BTumor extends to pelvic wall and/or causes hydronephrosis or nonfunctional kidneyT4IVTTumor invades mucosa of bladder or rectum and/or extends beyond true pelvis (bullous edema is not sufficient to classify a tumor as T4)T4afvaTumor invades mucosa of bladder or rectum (bullous edema is not sufficient to classify' a tumor as T4)T4bIVBTumor extends beyond true pelvisRegional lymph nodes (N)NXRegional lymph nodes cannot be assessedN0No regional lymph node metastasisN1Regional lymph node metastasisDistant metastasis (M)M0No distant metastasisMlDistant metastasis (including peritoneal spread; involvement of supraclavicular, mediastinal, or para-aortic lymph nodes; and lung, liver, or